Diagnosis of myasthenia gravis is done by using
1. Edrophonium
2. Neostigmine
3. Succinylcholine
4. Atropine

Correct answer: 1. Edrophonium

Explanation: (Ref: KDT 6/e p104) Myasthenia gravis can be differentiated from cholinergic crisis with the help ot a short acting anticholinesterase agent, edrophonium. It improves the symptoms in mvasthenia gravis whereas worsens the condition in cases of cholinergic crisis. Neostigmine is used for the treatmet of myasthenia.